Which of the following lasers is used for treatment of benign prostatic hyperplasia as well as urinary calculi?
1. CO2 laser
2. Excimer laser
3. Ho: YAG laser
4. Nd: YAG laser

Correct answer: 3. Ho: YAG laser

Explanation: The holmium: YAG Laser is excellent for stone fragmentation and tissue ablation and is now the most popular system in use." - Smith's Urology Both Ho: YAG & Nd: YAG laser systems can be used for BPH, but only Ho:YAG is used for stone fragmentation. For BPH, Ho:YAG is preferred over Nd:YAG. Ref : Cambell's Urology 8/e p3393